An 8-year old boy from Bihar presents with a 6 month h/o an ill defined hypopigmented slightly atrophic macule on the face. The most likely diagnosis is:
1. Ptyriasis alba
2. Indeterminate leprosy
3. Morphacea
4. Calcium deficiency

Correct answer: 2. Indeterminate leprosy

Explanation: B i.e. Indeterminate leprosy